False regarding Mercuria lentis:
1. Brownish deposit of mercury on anterior lens capsule
2. Slit lamp examination shows malt brown reflex
3. Due to the exposure of mercurial vapours
4. It is bilateral & affects the visual acuity

Correct answer: 4. It is bilateral & affects the visual acuity

Explanation: Mercuria lentis is a feature of hydrargyrism also known as chronic mercury poisoning. Some other features are :- 1. Tremor- hatter's shakes/ glass blower shakes/ Danbury tremor 2. Acrodynia/ pink's disease 3. Mercurilentis is due to exposure of mercurial vapours in which vapours deposits over anterior lens capsule . On slit lamp examination malt brown reflex is seen. It is bilateral and it doesn't affects the vision. 4.Mercurial erethism- mad hatter 5.Minamata disease due to consumption of fish containing methyl mercury.